Which of the following is NOT essential for normal biosynthesis of thyroid hormone?
1. Iodine
2. Ferritin
3. Thyroglobulin
4. TSH

Correct answer: 2. Ferritin

Explanation: The thyroid hormones, triiodothyronine (T3) and, thyroxine (T4), are tyrosine-based hormones produced by the thyroid gland that are primarily responsible for regulation of metabolism. T3and T4 is partially composed of iodine. A deficiency of iodine leads to decreased production of T3 and T4, enlarges the thyroid tissue and will cause the disease known as simple goitre.Ferritin is an iron-protein complex, containing up to 23% iron, formed by the union of ferric ions with apoferritin; it is found in the intestinal mucosa, spleen, bone marrow, reticulocytes, and liver, and regulates iron storage and transport from the intestinal lumen to plasma.Thyroglobulin is an iodine-containing glycoprotein of high molecular weight found in the colloid of the follicles of the thyroid gland; its iodinated tyrosine moieties form the active hormones thyroxine and triiodothyronine.Thyroid-stimulating hormone (TSH) is a hormone secreted by the pituitary gland that controls the release of T4 by the thyroid gland.Ref: Ganong's review of medical physiology; 24th edition; page no-341